True about bone tumor is -
1. Multiple myeloma-more than 55 years age and above
2. Osteogenic sarcoma-fourth decade
3. Chondrosarcoma-first decade
4. Osteoclastoma-fifth decade

Correct answer: 1. Multiple myeloma-more than 55 years age and above